Antidote for organophosphates poisoning are all except:
1. Physostigmine
2. Activated charcoal
3. Pralidoxime
4. Atropine

Correct answer: 1. Physostigmine

Explanation: Ans. A: Physostigmine The mainstays of medical therapy in organophosphate (OP) poisoning include ? Atropine-arrests muscarinic effects, Pralidoxime (2-PAM)-acts by competing for the phosphate moiety of the organophosphorus compound and release it from the cholinesterase enzyme Benzodiazepines (e.g., diazepam)-For convulsions Intravenous glycopyrrolate or diphenhydramine may provide an alternative centrally acting anticholinergic agent used to treat muscarinic toxicity if atropine is unavailable or in limited supply